Maximum penetration is seen with:
1. cc particles
2. 13 particles
3. y particles
4. Electron beam

Correct answer: 3. y particles

Explanation: Ans. y particles